Iodine isotope used for radio ablation of thyroid in Graves' disease is:
1. I-125
2. I-123
3. I-131
4. I-124

Correct answer: 3. I-131

Explanation: Radio-isotopes Half-life Uses I-131 8 days Radio ablation of thyroid gland Systemic radiotherapy of thyroid metastasis I-125 60 days Brachytherapy (prostate cancer) Radio-immunoassay I-124 4 days Positron emitter (PET) I-123 13 hours Functional scanning of thyroid gland Thyroid scintigraphy Radio-active Iodine Uptake (RAIU)